Which of the following require template for it's formation:
1. Carbohydrate
2. Protein
3. Lipid
4. None

Correct answer: 2. Protein

Explanation: B i.e. ProteinTemplate is required for protein and nucleic acid synthesisQ.- Nucleic acid synthesis require DNA as a templateProtein synthesis require mRNA as a template